Lymphoplasmacytoid lymphoma is associated with:
1. igG
2. igA
3. igD
4. igM

Correct answer: 4. igM

Explanation: Lymphoplasmacytoid lymphoma is a B cell neoplasm presenting in 6th or 7th decade of life having feautures similar to CLL/SLL and multiple myeloma.Like MM there is presence of a M or monoclonal spike . Deletion involving chromosome 6q is the commonest abnormality in Waldenstroms macroglobulinemia.( ref 8th/65 9/e p601)